The most common cause of sudden death in sarcoidosis is
1. Pneumonia
2. Cor pulmonale
3. Arrythmias
4. Liver failure

Correct answer: 3. Arrythmias

Explanation: Ans. is 'c' i.e., Arrhythmias